The Ridley-Jopling classification for leprosy is based on which of the following parameters?
1. Clinical, bacteriological, immunological
2. Histopathological, clinical, therapeutic
3. Histopathological, epidemiological, therapeutics
4. Histopathological. clinical, epidemiological

Correct answer: 1. Clinical, bacteriological, immunological

Explanation: Ans. a. Clinical, bacteriological, immunological (Ref: Fitzpatrick 7th/1786-1796; Roxburgh 18th/49-50)Ridley-Jopling Classification for Leprosy is based on Clinical (skin and nerve involvement), bacteriological (bacteriological/ morphological index in skin and nasal smears) and immunological criteria (Lepromin test).The patient has presented with a single anesthetic patch and single enlarged nerve, and a well-defined granuloma can be seen on the skin biopsy. These findings are typical of Tuberculoid leprosy.FeatureTTBTBBBLLLSkin LesionsNumberSingle/fewFewSeveralNumerousInnumerableSizeVariableMaybe largeVariableSmallQSmallQSensationsAnestheticQHypoestheticHypoestheticHypoestheticNormoestheticSymmetryAsymmetricalQAsymmetricalBilateral,AsymmetricalNearlySymmetricalSymmetricalQMorphologyWelt defined macule/ plaqueWell defined plaques with satellite lesionsPlaques with sloping edge (inverted saucer appearance)Macule, nodules, III defined plaquesMacule, nodules, III defined plaquesNervesSingle trunkQAsymmetrical involvement of few nerves with thickeningSeveral nerves involved asymmetrically with thickeningGlove & stocking anesthesiaQSymmetrical nerve thickeningQReactionsStableQType IQType IQType I/IIType IIQLepromin Test++/- -HistologyGranulomaWell defined epithelioid cel! granulomasQEpithelioid cell granulomaQ_III-defined macrophage granulomas with many lymphocytesIII-defined foamy macrophage granulomasQGrenz Zone-+++Q++Q++QAFB--+/-+++Q